Mechanism of action of Calcitriol is:
1. Decreased calcium resorption calcium from bone
2. Increase calcium absorption from intestine
3. Decreased calcium absorption from kidney
4. Decrease calcium absorption from intestine

Correct answer: 2. Increase calcium absorption from intestine

Explanation: Calcitriol is a synthetic version of Vitamin D3 used to treat calcium deficiency with hypoparathyroidism Bone-calcitriol increases resorption of calcium from bone.kidney-it increases calcium reabsorption in the distal tubule.intestine-it promotes intestinal absorption of calcium (Ref.Essentials of medical pharmacology TD Tripathi 7th edition page no.338)